Hypophysis cerebri is supplied by
1. Internal carotid artery.
2. External carotid artery.
3. Maxillary artery.
4. Facial artery.

Correct answer: 1. Internal carotid artery.